Definitive host is one in which the following lives –
1. Larvae
2. Asexual form
3. Adult form
4. All of the above

Correct answer: 3. Adult form